Treatment of advanced proliferative diabetic retinopathy with extensive vitreoretinal fibrosis and tractional retinal detachment involves all of the following except –
1. Reattachment of detached or torn retina
2. Removal of epiretinal membrane
3. Vitrectomy
4. Exophotocoagulation

Correct answer: 4. Exophotocoagulation

Explanation: There is no role of Exophotocoagulation in the management of advanced proliferative diabetic retinopathy with complications such as tractional RD and extensive vitreoretinal fibrosis. Endophotocoagulation may be used in conjunction with vitrectomy.


Surgery : - Surgery is indicated in advanced PDR and for complications. Pars plana vitrectomy is the treatment of choice.


Advanced PDR with dense vitreous hemorrhage : - Vitrectomy with removal of opaque vitreous gel and endophotocoagulation.
Advanced PDR with extensive fibrovascular epiretinal membrane : - Vitrectomy with removal of fibrovascular epiretinal membrane and endophotocoagulation.
Advanced PDR with tractional retinal detachment : - Vitrectomy and reattachment of detached retina by endophotocoagulation or by other methods.